The exact part of the antigen that reacts with the immune system is called as -
1. Clone
2. Epitope
3. Idiotope
4. Effector

Correct answer: 2. Epitope

Explanation: An epitope, also known as antigenic determinant, is the part of an antigen that is recognized by the immune system, specifically by antibodies, B cells, or T cells. Ref: Ananthanarayan & Panikers textbook of microbiology 9th edition pg:88